Which of the following is not a derivative of the middle ear cleft?
1. Semicircular canal
2. Mastoid air cell
3. Tympanic cavity
4. Eustachian tube

Correct answer: 1. Semicircular canal

Explanation: The middle-ear cleft in the temporal bone includesEustachian tubeThe middle ear (tympanic cavity)Aditus which leads posteriorly to the mastoid antrum and air cellsRef: PL Dhingra, Diseases of Ear, Nose & Throat, 7th edition, pg no. 5